Which one of the following is the most common immunologic type of multiple myeloma?
1. IgG; Kappa light chain
2. IgA, Kappa light chain
3. IgD, Lambda light chain
4. IgM, type

Correct answer: 1. IgG; Kappa light chain